Which of the following contraception method is contraindicated in women with epilepsy on treatment?
1. Oral Contraceptive pill
2. IUCD
3. Condom
4. Emergency contraceptive pill

Correct answer: 1. Oral Contraceptive pill

Explanation: OCP pills' metabolism is increased by some of the anti-epileptic drugs, hence use of OCP with these drugs is relatively contra-indicated.